Which of the following materials used to make jewelry will commonly cause contact dermatitis in sensitive individuals ?
1. Sapphire
2. Silver
3. Gold
4. Nickel/chromium

Correct answer: 4. Nickel/chromium

Explanation: - Nickel is commonly a component of an alloy used to make cheaper jewelry as well as buckles and snaps. -Individuals often develop a contact dermatitis from contact with this alloy.